All are true about pancreatic fistula except:
1. Occasionally results in resolution of pseudocyst
2. Fistula may be associated with severe bleeding
3. Management depends upon GI organ involved
4. They will never erode into duodenum

Correct answer: 4. They will never erode into duodenum

Explanation: Ans. (d) They will nerve erode into duodenumRef: Sabiston 19/e p 1525; Schwartz 9/ep 1204Fistula from Pancreatic duct:* Pseudo cyst can erode into the small intestine, Duodenum, Stomach, Bile duct or Splenic flexure can form Fistula.* Rarely it results in resolution of fistula and healing of the tract.* Most of the time it will result in sepsis, bleeding and may need surgical intervention.